The antifungal drug used for systemic fungal infection is :
1. Griseofulvin
2. Clotrimazole
3. Amphotericin B
4. Econazole

Correct answer: 3. Amphotericin B